Stain used for staining fungal elements -
1. Acid fast stain
2. Mucicarmine
3. Methenamine silver
4. Gram stain

Correct answer: 3. Methenamine silver

Explanation: Routinely used stains for the demonstration for fungal elements in tissue sections are : -


Methenamine silver
Periodic acid Schiff (PAS)